Vidian nerve passes through -
1. Inferior orbital fissure
2. Incisive foramen
3. Tympanomstoid fissure
4. Pterygoid canal

Correct answer: 4. Pterygoid canal

Explanation: Vidian nerve and vidian artery pass through pterygoid canal.